An x-ray performed on a newborn infant shows enlargement of the left ventricle and left atrium as well as dilatation of the aorta. Echocardiographic studies demonstrate volume-overloading of the left ventricle. Cardiac auscultation reveals the presence of a continuous "machinery" murmur. Which of the following is the most likely diagnosis?
1. Atrial septal defect
2. Patent ductus arteriosus
3. Pulmonic stenosis
4. Tetralogy of Fallot

Correct answer: 2. Patent ductus arteriosus

Explanation: Patent ductus arteriosus (PDA) is a congenital cardiac disorder in which blood traveling in the aorta is shunted through the ductus arteriosus to the pulmonary arteries. On x-ray, the left ventricle and left atrium may be enlarged, and pulmonary hypertension may be observed. PDA is characterized by a continuous "machinery" murmur on auscultation. If the ductus is widely patent, pulmonary hypertension may eventually develop, and the initially left-to-right shunt is reversed, sending deoxygenated blood through the descending aorta, and producing cyanosis (Eisenmenger syndrome). Since the deoxygenated blood enters the descending aorta, the toes can be cyanotic, but the fingers are generally not. In atrial septal defect , left-to-right shunting causes volume overloading of the right ventricle, the increased flow across the pulmonic valve producing a mid systolic pulmonary ejection murmur. The second heart sound is widely split. A diastolic murmur may also be heard, reflecting increased flow from the right atrium into the right ventricle. Pulmonic stenosis typically produces a harsh systolic ejection murmur best heard at the upper left sternal border, often preceded by a systolic ejection sound. Tetralogy of Fallot is a form of cyanotic congenital heart disease characterized by ventricular septal defect, right ventricular outflow tract obstruction, an overriding aorta, and right ventricular hypertrophy. The heart is often described as "boot-shaped" on chest x- ray. Ref: Darst J.R., Collins K.K., Miyamoto S.D. (2012). Chapter 20. Cardiovascular Diseases. In W.W. Hay, Jr., M.J. Levin, R.R. Deterding, J.J. Ross, J.M. Sondheimer (Eds), CURRENT Diagnosis & Treatment: Pediatrics, 21e.